Agnes hunt traction:
1. Flexion deformity of hip
2. Trochantric fracture
3. Fracture shaft of humerus
4. Low backache

Correct answer: 1. Flexion deformity of hip

Explanation: Ans. A. Flexion deformity of hipRef: Campbell, Ebnezer and MaheshwariExplanationThese are commonly asked memory based questions in orthopedics. These charts are must to memorize.Commonly asked tractions, fractures, splints and castNameUseGallow's tractionFracture shaft of the femur in children below 2 yearsBryant's tractionSameRussell's tractionTrochanteric fracturesBuck's tractionConventional skin tractionPerkin's tractionFracture shaft of femur in childrenAgnes-Hunt tractionCorrection of hip deformityWell-leg tractionCorrection of adduction or abduction deformity of hipDunlop tractionSupracondylar fracture of humerusSmith's tractionSupracondylar fracture of humerusCalcaneal tractionOpen fractures of ankle or legMetacarpal tractionOpen forearm fracturesHead-Halter tractionCervical spine injuriesCrutchfield tractionCervical spine injuriesHalo-pelvic tractionScoliosisSplintsNameUseCramer-wire splintEmergency immobilizationThomas splintFracture femur--anywhereBohler-Braun splintFracture femur--anywhereAluminium splintImmobilization of fingersDenis Browne splintCongenital talipes equinovarus (CTEV)Cock-up splintRadial nerve palsyKnuckle-bender splintUlnar nerve palsyToe-raising splintFoot dropVolkmann's splintVolkmann's ischemic contracture (VIC)Four-post collarNeck immobilizationAeroplane splintBrachial plexus injurySternal occipital mandibular immobilizer (SOMI) braceCervical spine injuryAnterior spinal hyperextension (ASHE)Dorso-lumbar spinal injury braceTaylor's braceDorso-lumbar immobilizationMilwaukee braceScoliosisBoston braceScoliosisLumbar corsetBackacheCastsName of the castUseMinerva castCervical spine diseaseRisser's castScoliosisTurn-buckle castScoliosisShoulder spicaShoulder immobilizationU-slabFracture of the humerusColies' castColies' fractureHip spiceFracture of the femurCylinder castFracture of the patellaPatella tendon bearing (PTB) castFracture of the tibiaA spica is a cast where a limb and a part of the trunk are included, e.g., hip spica, shoulder spica.Disease and locationNameSite affectedPerthes' diseaseFemoral headPanner's diseaseCaplitulumKienbock's diseaseLunate boneOsgood-Schlatter's diseaseTibial tubercleSever's diseaseCalcaneal tuberosityKohler's diseaseNavicular boneFreiberg's diseaseMetatarsal headSchuermann's diseaseRing epiphysis of vertebraeCalve's diseaseCentral bony nucleus of vertebral bodyNamed Fractures# Barton's: Distal radius, intra-articular fracture# Chauffer's: Radial styloid fracture# Colles': Distal radius, extra-articular fracture with dorsal tilt of the distal fragment# Galleazzi: Fracture of distal V2 of the radius with dislocation of distal radio-ulnar joint# Monteggia: Fracture of proximal V2 of the ulna with dislocation of head of the radius# Night-stick: Isolated fracture shaft of the ulna# Smith's: Distal radius fracture, extra-articular with volar tilt of the distal fragment# Bennett's: Fracture of base of the 1st metacarpal, intra-articular# Boxers': Fracture of neck of 5th metacarpal# Mallet: Avulsion of attachment of extensor tendon from base of the distal phalanx# Rolando: Fracture of base of 1st metacarpal, extraarticular# Hangman's: Fracture pedicle-lamina of C2 vertebra# Malgaigne's: Pelvic-ring disruption with both pubic rami and sacro-iliac injury on the same side# Bumper: Comminuted fracture of lateral condyle of the tibia# Cotton's: Trimalleolar ankle fracture# Pott's: Bimalleolar ankle fracture# March: Stress fracture of shaft of 2nd metatarsal# Aviators: Fracture of the neck of the talus# Jone's: Fracture of the base of the 5th metatarsalSigns and Tests# Adson's test: For thoracic outlet syndrome# Allen's test: For testing patency of radial and ulnar arteries# Alli's test: For CDH# Anvil test: For testing tenderness of the spine# Ape thumb: For median nerve injury# Apley's grinding test: For meniscus injury# Apprehension test: For recurrent dislocation of the shoulder# Barlow's test: For CDH# Blue sclera: Osteogenesis imperfect# Bryant's test: For anterior dislocation of the shoulder# Callaways' test: For anterior dislocation of the shoulder# Chovstek's sign: For tetany# Claw hand: For ulnar nerve injury# Coin test: For dorso-lumbar tuberculosis of spine# Cozen's test: For tennis elbow# Drawer test: For ACL and PCL injuries# Anterior: For ACL injury.# Posterior: For PCL injury# Finkelstein's test: For de Quervain's tenovaginitis# Foot drop: For common peroneal nerve injury# Froment's sign: For ulnar nerve injury# Gaenslen's test: For SI joint involvement# Galleazzi sign: For congenital dislocation of the hip (CDH)# Gower's sign: For muscular dystrophy# Hamilton-ruler test: For anterior dislocation of the shoulder# Kanavel's sign: For infection in ulnar bursa# Lasegue's test: For disc prolapsed# Lachmann test: For ACL injury# Ludloff s sign: For avulsion of lesser trochanter# McMurray's test: For meniscus injury# Nagffziger test: Disc prolapsed# Obei^s test: For tight ilio-tibial band (e.g., in polio)# O'Donoghue triad: Triad of MCL, ACL and medial meniscus injuries occurring together# Ortolani's test: For CDH# Pivot-shift test: For ACL injury# Policeman tip: For Erb's palsy# Sulcus sign: For inferior dislocation of the shoulder# Thomas' test: For hip flexion deformity# Trendelenburg's test: For unstable hip due to any reason (e.g., CDH)# Tinel's sign: For detecting improving nerve injury# Volkmann's sign: For ischemic contracture of forearm muscles# Wrist drop: For radial nerve injury# Runner's knee: Patellar tendinitis.